Which of the following growth factor maintain the neurons by reducing apoptosis therefore the memory cells does not undergo apoptosis?
1. Platelet derived growth factor
2. Nerve growth factor
3. Insulin like growth factor
4. Fibroblast growth factor

Correct answer: 2. Nerve growth factor

Explanation: The first neurotrophin to be characterized was nerve growth factor (NGF), a protein growth factor that is necessary for the growth and maintenance of sympathetic neurons and some sensory neurons. NGF is picked up by neurons and is transported in retrograde fashion from the endings of the neurons to their cell bodies. It is also present in the brain and appears to be responsible for the growth and maintenance of cholinergic neurons in the basal forebrain and the striatum. There is evidence that the maintenance of neurons by NGF is due to a reduction in apoptosis. Ref: Barrett K.E., Barman S.M., Boitano S., Brooks H.L. (2012). Chapter 4. Excitable Tissue: Nerve. In K.E. Barrett, S.M. Barman, S. Boitano, H.L. Brooks (Eds), Ganong's Review of Medical Physiology, 24e.